An important measure of the communicability of a disease is -
1. Case fatality rate
2. Disease specific mortality rate
3. Infection rate
4. Secondary attack rate

Correct answer: 4. Secondary attack rate

Explanation: .secondary attack rate is defined as the number of exposed persons developing the disease within the range of the incubation period following exposure to a primary case.its application is limited only to infectious diseases,in which the primary case is infective,.duration of exposure is also an important factor in determining the extent of spread. ref:park's textbook,22nd edition,pg no 96